Conjugate vaccine are available for the prevention of invasive disease caused by all of the following bacteria except:
1. H. influenzae
2. Strep pneumoniae
3. Neisseria meningitidis (Group-C)
4. Neisseria meningitidis (Group-B)

Correct answer: 4. Neisseria meningitidis (Group-B)

Explanation: Ans. (d) Neisseria meningitidis (Group B) Note: Conjugate vaccines are available for: a. Hemophilus influenza B. b. Menigococcal serotypes A, C, Y and W-135. c. Streptococcalpneumoniae(pneumococcus).